Which of the following is used for antibiotic sensitivity testing
1. Thayer main medium
2. Mueller hinton agar
3. Chocolate agar
4. None of the above

Correct answer: 2. Mueller hinton agar

Explanation: Muller-Hinton agar is a microbiological growth medium that is commonly used for antibiotic susceptibility testing. It is also used to isolate and maintain Neisseria and Moraxella species Ref ananthnarayana and panikers microbiology textbook 8/e